Investigation of choice of diphtheria carrier is -
1. Throat Swab Culture
2. Gram's stain
3. Albert's stain
4. Zeil Nelson's stain

Correct answer: 1. Throat Swab Culture

Explanation: Ans. is 'a' i.e., Throat Swab Culture Carriers can be detected only by cultural methods --> Swabs are taken from nose and throat and it is examined by cultural methods for Diphtheria bacilli